Best solution for burns:
1. NS 0.9%
2. Ringer s lactate
3. 25% dextrose
4. Colloid

Correct answer: 2. Ringer s lactate

Explanation: Ans. (b) Ringer's lactateRef: Sabiston 19th ed. 529-30* IV fluid resuscitation is immediately required: In children with burn >10% TBS A and adult with burn >15% TBS A* Maximum fluid is given in first 8 hours (50%) rest of the fluid will be given in subsequent hours (25% + 25% in next 16 hours).* Most commonly used/preferred fluid:Ringer lactate (Crystalloids). Because it is a relatively isotonic crystalloid solution that is the key component of almost all resuscitative strategies, at least for the first 24-48 hours.* However, some centers use human albumin, FFP or hypertonic saline.* RL is preferable to isotonic sodium chloride solution (ie, normal saline ) for large-volume resuscitations because its lower sodium concentration (130 mEq/L vs 154 mEq/L) and higher pH concentration (6.5 vs 5.0) are closer to physiologic levels.* Hypotonic fluid is not given, as it can lead to hyponatremia and water intoxication.* Maintenance fluid in children: Dextrose -salineAlso Know* Hypertonic saline has been effective in treating burn shock as it produces hyperosmolarity and hypernatremia* This reduces the shift of intracellular water to the extracellular space